Egg is deficient in -
1. Vitamin B
2. Vitamin C
3. Fat
4. Proteins

Correct answer: 2. Vitamin C

Explanation: Ans. is 'b' i.e., Vitamin C o Egg contains all nutrients except carbohydrate and Vitamin 'C\o Food items as Poor Sources of nutrients :# Milk is a poor source of Vitamin C and Iron.# Milk is a poor source of Calcium.# Milk is a poor source of Carbohydrates.o Food items as Rich Sources of nutrients :# Halibut Liver Oil is richest source of Vitamin A and Vitamin D.# Indian Gooseberry (amla) is richest source of Vitamin C.# Gingelly seeds are richest source of Vitamin Bj (Thiamine).# Sheep liver is richest source of Vitamin B2 (Riboflavin).